Unicentric, non-functional, anatomically benign, clinically persistent tumor is
1. CEOT
2. Enameloma
3. Odontorna
4. Ameloblastoma

Correct answer: 4. Ameloblastoma